Radio-opacity in composite is due to presence of
1. Strontium
2. Fluorides
3. Silica
4. BisGMA

Correct answer: 1. Strontium